Migratory thrombophelibitis is seen in -
1. Dissaminated cancer
2. Rheumatic heart disease
3. Libman - sacks endocarditis
4. All of the above

Correct answer: 1. Dissaminated cancer

Explanation: Robbins and Cotran pathologic basis of disease South Asia edition. migratory thrombophlebitis ( Rousseau syndrom) encountered in association with deep seated cancers most often carcinoma of the pancrpancreas or lung..